A child is brought by mother with HO massive hematemesis with HO drug intake previously with NSAIDS and on Rx. Associated with moderate splenomegaly diagnosis is -
1. Oesophageal varices
2. Duodenal ulcer
3. Drug induced gastritis
4. Peptic ulcer

Correct answer: 1. Oesophageal varices

Explanation: Ans. is 'a' i.e., Oesophageal varices Clues in this question are ? 1) H/O massive hematemasis 2) Splenomegaly o Amongst the given options, splenomegaly will be seen only in esophageal varices due to portal hypertension.